Saccadicc eye movement is controlled by:
1. Parietal lobe
2. Prefrontal lobe
3. Temporal lobe
4. Frontal cortex

Correct answer: 4. Frontal cortex

Explanation: Ans: d. Frontal cortexNormally saccadic movements are voluntary but can be aroused by peripheral visual or auditory stimuli by stimulation of frontal eye fields(area 8).Thus these movements are programmed in the frontal cortex.The bilateral frontal eye fields in this part of the cortex are concerned with the control of saccades, and an area just anterior to these fields is concerned with vergence and the near response.